3-month infants with abdominal palpable mass & non-bilious vomiting –
1. Hypertrophic biliary stenosis
2. Hypertrophic pyloric stenosis
3. Tracheoesophageal fistula
4. Duodenal atresia

Correct answer: 2. Hypertrophic pyloric stenosis

Explanation: Diagnosis of congenital hypertrophic pyloric stenosis

History of vomiting without bile (nonbilious vomiting).
Physical examination -


Palpable mass in the epigastrium
After feeding, visible gastric peristaltic wave those progress across the abdomen.

USG confirm the diagnosis

Criteria → Pyloric thickness > 4 mm or an overall pyloric length > 14 mm.

Contrast studies -

Shoulder sign → A bulge of the pyloric muscle into the antrum.
Double tract sign → Parallel streaks of barium in the narrowed channel.
Elongated pyloric channel


So the boy is having pyloric stenosis. The only problem is the age of boy i.e 6 yrs. The hypertrophic pyloric stenosis which we know of makes its clinical presentation in early infancy (3rd to 6th weeks of life)
But the problem is solved once you know that there is a similar disease in adults - hypertrophic pyloric stenosis of adults. (Bailey & Love, 22th/e, p 675).